After Giving an enzyme inhibitor,if Vmax decreases to 60% and Km is same as before. Which type of inhibition is this
1. Competitive equilibrium type
2. Non Competitive
3. Competitive non equilibrium type
4. UnCompetitive

Correct answer: 2. Non Competitive

Explanation: Ref Rang and Dale 6th/18 . Km Vmax Competitive increases no change Noncompetitive Nochange Decreases . UnCompetitive. decreases. decreases